In reflux nephropathy, glomerular lesion is-
1. Focal GN.
2. Membranous G.N.
3. Membrano proliferative G.N.
4. Minimal change disease

Correct answer: 1. Focal GN.